Gancyclovir is used intravitreallyfor treatment of-
1. Influenza
2. Rhinovirus
3. HZV
4. CMV retinitis

Correct answer: 4. CMV retinitis

Explanation: Ans. is 'd' i.e,, CMV retinitis o Some drugs which are used intravitrealfy areBevacizumab : inhibits VEGF action; used in metastatic colorectal cancer; off label use as intravitreous injection to slow progression of neovascular macular degeneration.Foscarnet: CMV retinitis.Gattcyclovir : CMV retinitis.Ranibizumab : slow macular degeneration.Pegaptanib : neovascular age related macular degeneration.